All are true statement about filaria except ?
1. Extrinsic incubation period of 10-14 days
2. Man is the intermediate host
3. Adults live in the lymphatics of host
4. No multiplication in the mosquito

Correct answer: 2. Man is the intermediate host

Explanation: Ans. is 'b' i.e., Man is the intermediate host o Extrinisic incubation period (duration of mosquito cycle) is 10 to 14 days. o Man is the definitive host and mosquito is the intermediate host. o The adult worms are usually found in the lymphatic system of man. o In mosquito, there is asexual cycle in which development takes place but there is not multiplication.